Flat topped violaceous papule, thinning of nail.Microscopic finding would be?
1. Basal cell degeneration
2. Epidermal bulla
3. Acantholysis
4. Prominent necrotic cells

Correct answer: 1. Basal cell degeneration

Explanation: As per the clinical features,flat topped papules with thinning of nails are characteristc of lichen planus LICHEN PLANUS:- Histology:-1. Irregular acanthosis of the epidermis.2. Hypergranulosis 3. Compact hyperkeratosis.4. Basal cell damage.5. Colloid bodies6. Pigment incontinence.7. Band like lympho histiocytic infiltrate obscuring the dermoepidermal interface. IADVL TEXTBOOK OF DERMATOLOGY PAGE 1070